Anitibiotic that improves gastroparesis is:
1. Ciprofloxacin
2. Erythromycin
3. Chloramphenicol
4. Vancomycin

Correct answer: 2. Erythromycin

Explanation: Macrolide antibiotics such as erythromycin directly stimulate motilin receptors on gastrointestinal smooth muscle and promote the onset of a migrating motor complex. Intravenous erythromycin (3 mg/kg) is beneficial in some patients with gastroparesis; however, tolerance rapidly develops. It may be used in patients with acute upper gastrointestinal hemorrhage to promote gastric emptying of blood before endoscopy. Ref: Katzung 11th edition Chapter 60.